Diamond abrasive having particle size of 125-150 µm is classified?
1. Fine
2. Coarse
3. Medium
4. Extrafine

Correct answer: 2. Coarse

Explanation: Diamond particle size is commonly categorized as coarse (125–150 µm), medium (88–125 µm), fine (60–74 µm) and very fine (38–44 µm) for diamond preparation instruments.
Sturdevants operative dentistry 4th edition page 338